Regarding brown adipose tissue false is
1. High ATP synthase activity
2. High vascularity
3. Reduced or absent in the obese
4. High content of mitochondria

Correct answer: 1. High ATP synthase activity

Explanation: (A) High ATP synthase activity # THERMOGENIN (called uncoupling protein by its discoverers and now known as uncoupling protein 1, or UCP1) is an uncoupling protein found in the mitochondria of brown adipose tissue (BAT). A mitochondrial uncoupling protein (UCP-1) in BAT dissipates the hydrogen ion gradient in the oxidative respiration chain and releases energy as heat. The metabolic activity of BAT is increased by a central action of leptin, acting through the sympathetic nervous system that heavily innervates this tissue.